Percentage of T4 and T3 released from thyroid gland-
1. 50% T4; 50% T3
2. 25% T4; 75% T3
3. 80% T4; 20% T3
4. 1000% T4; 0% T3

Correct answer: 3. 80% T4; 20% T3

Explanation: Ans. is 'c' i.e., 80% T4; 20% T3 " Approximately 80% of secreted hormone is T4 and 20% is T3".